What is epicolic node?
1. Node draining colon
2. Adjacent to aorta
3. Epitracheal node
4. None

Correct answer: 1. Node draining colon

Explanation: .Lymphatic Drainage of colon * Mucosa contains no lymph channels, so mucosal cancers rarely metastasize. * Nodes are epicolic (located in the colonic wall), paracolic (located along the inner margin), intermediate (located near mesenteric vessels), principal (located near main mesenteric vessles). ref:SRB's manual of surgery,ed 3,pg no 818